Respiratory distress is seen in
1. Bilateral abductor palsy
2. Unilateral abductor palsy
3. Unilateral recurrent laryngeal nerve paralysis
4. None

Correct answer: 1. Bilateral abductor palsy

Explanation: As both the cords lie in median or paramedian position, the airway is inadequate causing dyspnoea and stridor but the voice is good. Dyspnoea and stridor become worse on exertion or during an attack of acute laryngitis Ref: PL Dhingra Textbook of Ear, Nose and Throat, Edition 7, page - 339